All of the following are given global prominence in the VISION 2020 goal, expect:
1. Refractive errors
2. Cataract
3. Trachoma
4. Glaucoma

Correct answer: 4. Glaucoma

Explanation: Ans. Glaucoma